A nondiabetic, non hypertensive adult male develops sudden severe headache with altered sensorium,likely diagnosis is -
1. Brain tumour
2. Subarachnoid haemorrhage
3. Encephalitis
4. Meningitis

Correct answer: 2. Subarachnoid haemorrhage